Drug useful in breast cancer is
1. Tamoxifen
2. Cyprotenene
3. Testosterone
4. Chlorambucil

Correct answer: 1. Tamoxifen

Explanation: Medications Estrogen modulator, Chemotherapy, Hormone based chemotherapy, and Bone health